Treatment of Malignant tracheo-oesophageal fistula is
1. Oesophagotomy
2. Expanding metal stent
3. External beam radiation
4. Chemoradiotherapy

Correct answer: 2. Expanding metal stent

Explanation: Malignant tracheo-oesophageal fistula is a sign of incurable disease. An expanding metal stent is probably the best treatment. (palliation)Ref: Bailey and Love 27e pg: 1095